In pemphigus, autoantibodies are directed against which of the following structures?
1. Acetylcholine receptor
2. Sarcomere
3. Epidermis
4. Thyroid follicle

Correct answer: 3. Epidermis

Explanation: Pemphigus is an autoimmune disease wherein autoantibodies against epidermis cells are produced. Histologically, a phenomenon called acantholysis, wherein epidermal cells appear to detach and separate from each other, is observed.